All of the cystic diseases of kidney cause enlargement of kidney/renomegaly, except:
1. Autosomal dominant polycystic kidney disease (ADPKD)
2. Autosomal recessive polycystic kidney disease (ARPKD)
3. Nephronophthisis
4. Multicystic renal dysplasia

Correct answer: 3. Nephronophthisis

Explanation: Nephronopthisis Kidneys are small, have contracted granular surfaces, show cysts in the medulla, at the corticomedullary junction. Children with juvenile nephronophthisis have extrarenal manifestations, which most often appear as retinal abnormalities, including retinitis pigmentosa, and even early-onset blindness in the most severe form